A neonate weighing 1500 grams is delivered at 33 weeks. Which of the following would be most appropriate method of nutrition for the baby?
1. IV fluids and oral feeding
2. Orogastric feeding/alternate oral feeding
3. Total parenteral nutrician
4. IV fluids and assessment / follow - up

Correct answer: 2. Orogastric feeding/alternate oral feeding

Explanation: Low-birth-weight (LBW) infants, including those with very low birth weight (VLBW), should be fed mother's own milk.hence,through orogastric tube or directly baby fed In babies weighing <1 kg at birth, start nutritional feeds at 15-20 mL/kg/day and increase by 15-20 mL/kg/day. If the feedsare tolerated for around 2-3 days, consider increasing faster. For babies weighing >=1 kg at birth, start nutritional feeds at 30 mL/kg/day and increase by 30 mL/kg/day. Reference: GHAI Essential pediatrics, 8th edition